Genu valgum deformity is seen in all except ?
1. Rickets
2. Bone Dysplasia
3. Rheumatoid arthritis
4. Medial compartment osteoarthritis

Correct answer: 4. Medial compartment osteoarthritis

Explanation: Ans. is 'd' i.e., Medial compartment osteoarthritis Genu valgum (knock knee) Genu valgum is a condition in which the lower legs are positioned at an outward angle with abnormal approximation of knees and abnormally divergent ankles. Genu valgum is a condition in which the knees touch, but the ankles do not touch. Normally, a child is born with genu varum. Therefore, neonates and infants normally have genu varum. When the infant begins to stand and walk, the lower limb straighten and this physiological genu varus disappear at around years of age. The leg become straight. Then, between the age of 2-3 years genu valgum starts developing gradually with maximum genu - valgum of 12deg at the age of 31/4 years. Finally genu-valgum spontaneously get corrected by the age of 7 years to that of normal adult genu valgum of 7 - 8deg. So upto 7 years, exagerated genu valgum is physiological. If this exaggerated genu valgum persists after 8 years, then it is pathological genu valgum.